All of the following Beta–Lactam antibiotics possess antipseudomonal action, except :
1. Piperacillin
2. Ceftriaxone
3. Ceftazidime
4. Cefoperazone

Correct answer: 2. Ceftriaxone